Following several days of 12-hour daily rehearsals of the symphony orchestra for a performance of a Wagnerian opera, the 52-year-old male conductor experienced such excruciating pain in the posterior aspect of his right forearm that he could no longer direct the musicians. When the maestro's forearm was palpated 2 cm distal to, and posteromedial to, the lateral epicondyle, the resulting excruciating pain caused the conductor to weep. Injections of steroids and rest were recommended to ease the pain. Which of the following injuries is most likely?
1. Compression of the median nerve by the pronator teres
2. Compression of the median nerve by the flexor digitorum superficialis
3. Compression of the superficial radial nerve by the brachioradialis
4. Compression of the deep radial nerve by the supinator

Correct answer: 4. Compression of the deep radial nerve by the supinator

Explanation: The Deep radial nerve courses between the two heads of the supinator and is located just medial and distal to the lateral epicondyle. It can be compressed by hypertrophy of the supinator causing pain and weakness. The Median nerve passes into the forearm flexor compartment. Superficial radial nerve courses down the lateral aspect of the posterior forearm and would not cause pain due to pressure applied to the posterior forearm.